Fascia around nerve bundle of brachial plexus is derived from :
1. Pectoral fascia
2. Clavipectoral fascia
3. Prevertebral fascia
4. Deep cervical fascia

Correct answer: 3. Prevertebral fascia

Explanation: Axillary sheath is derived from pre - vertebral fascia.